ABO incompatibility in Rh immunization has
1. Protective effect
2. Harmful effect
3. No effect
4. None

Correct answer: 1. Protective effect

Explanation: Answer- A. Protective effectABO incompatibility has protective effect against the development of Rh sensitization. This protective effect is signifcant when mother is type O and the father is A, B or AB.